First line of treatment in Ascitis is:
1. Salt Restriction
2. Diuretics
3. Paracentesis
4. Shunt

Correct answer: 1. Salt Restriction

Explanation: Answer is A (Salt Restriction) The.first line treatment of Ascitis is dietary salt restriction. Treatment of Ascitis: Oxford Textbook of Medicine : Recommendations Bed Rest is of Nile value Dietry sodium Restriction is the first line management Diuretic therapy is the mainstay of treatment ofAscitis (Spironolactone should be employed as the first line drug) Large volume paracentesis should initially be carried out on patients with moderate or marked ascitis Shunts (TIPS) may he used in cases of Refractory Ascitis in whom recurrent paracentesis is too frequent or poorly tolerated, or in those with a hepatic hydrothorux